Which of the following is the earliest post operative complication of ileostomy?
1. Obstruction
2. Prolapse
3. Necrosis
4. Diarrhea

Correct answer: 3. Necrosis

Explanation: Stoma necrosis is the earliest complication of ileostomy which occur in the early postoperative period. It is caused by skeletonizing the small bowel and/ or creating a tight fascial defect. Other complications of ileostomy are: stoma retraction, dehydration with fluid electrolyte abnormalities, skin irritation, obstruction, parastomal hernia and rarely prolapse. Complications of colostomy: early complication is colostomy necrosis, and parastomal hernia is the most common late complication.